Eustachian valve is seen in -
1. Eustachian tube opening at nasopharyngeal end
2. Eustachian tube opening in tympanic cavity
3. IVC opening in right atrium
4. Coronary sinus opening in right atrium

Correct answer: 3. IVC opening in right atrium

Explanation: Ans. is 'c' i.e., IVC opening in right atrium o Opening of IVC in right atrium is guarded by - Eustachian valve (rudimentary valve). o Opening of coronary sinus in right atrium is guarded by - Semilunar valve/Thebesian valve (functional valve)